Minimata disease is due to -
1. Mercury
2. Copper
3. Arsenic
4. Lead

Correct answer: 1. Mercury

Explanation: Ans. is 'a' i.e., Mercury * Minimata disease is due to organic marcury poisoning due to eating fish poisoned by mercury.